Two substances that can probably be used to determine filtration fraction are -
1. Insulin and mannitol
2. Urea anddiodrast
3. PAH and phenol red
4. Inulin and PAH

Correct answer: 4. Inulin and PAH

Explanation: Ans. is 'd' i.e., Inulin and PAH o GFR is measured by inulin and renal plasma flow is measured by PAH.